Which of the following seizures has a clinical presentation of impaired consciousness with motor, sensory, or autonomic symptoms which are focal?
1. Generalized tonic clonic
2. Simple partial
3. Status epilepticus
4. Complex partial

Correct answer: 4. Complex partial

Explanation: Complex partial seizures, formerly called temporal lobe or psychomotor seizures, are partial seizures in which consciousness, responsiveness, or memory is impaired. The seizure discharge usually arises from the temporal lobe or medial frontal lobe but can originate elsewhere. These seizures start focally and subsequently generalize with a loss of consciousness. The motor manifestations of complex partial seizures are characterized by coordinated involuntary motor activity, termed automatism, which takes the form of orobuccolingual movements in approximately 75% of patients and other facial or neck or hand movements in approximately 50%. In cases of adversive seizures, the patient's head and eyes turn away from the focus of the seizure. In jacksonian seizures, the symptoms begin in the face, foot, or hand and spread to other muscles or generalize. Ref: Greenberg D.A., Aminoff M.J., Simon R.P. (2012). Chapter 12. Seizures & Syncope. In D.A. Greenberg, M.J. Aminoff, R.P. Simon (Eds), Clinical Neurology, 8e.